Site for injection of cell culture rabies vaccine -
1. Gluteus
2. Subcutaneous
3. Deltoid
4. Anterior abdominal wall

Correct answer: 3. Deltoid

Explanation: -intra muscular administration of rabies human diploid cell vaccine is done for post exposure prophylaxis of rabies . - Essen regimen : 5 dose regimen and prescribes 1 dose on each of days 0,3,7,14 and 28. - dose is 1/ 0.5ml and site of administration is deltoid. Reference : Park's textbook of preventive and social medicine, 23rd edition, pg no:279